Most common cause of Acute epiglottis is
1. Respiratory Syncytial Virus
2. Parainfluenza virus
3. Hemophilius influenza A
4. Hemophilius influenza B

Correct answer: 4. Hemophilius influenza B

Explanation: Most common cause of Acute epiglottis is Hemophilius influenza B